GnRH analogue may be given in all of the following except:
1. Prostate Ca
2. Endometrial Ca
3. Fibromyoma - uterus
4. Precocious puberty

Correct answer: 2. Endometrial Ca